Which IV fluid should not be used in a patient with head injury -
1. 5% Dextrose
2. Normal saline
3. Dextrose normal saline
4. All of the above

Correct answer: 1. 5% Dextrose